A 62–year–old female, Phoolwati presents to the emergency with acute severe low back pain after too quickly sitting down onto a chair. She has a history of rheumatoid arthritis and bronchial asthma. She reports that she was on many medications for several years. X–ray shows a fracture of the fifth lumbar vertebra. Which of the following drugs are likely responsible for the patient's complaints ?
1. Methotrexate
2. Prednisolone
3. Indomethacin
4. Salbutamol

Correct answer: 2. Prednisolone